Koeppe nodules are located at
1. Base of Iris
2. Pupillary border of Iris
3. Pars plana
4. Pars plicata

Correct answer: 2. Pupillary border of Iris

Explanation: In uveitis, Iris nodules develop at

Base of Iris known as Busacca nodules.
Pupillary border of Iris known as Koeppe Nodules.